Which of the following is not a feature of reversible cell injury?
1. Blebbing of the plasma membrane
2. Generalized swelling of the cell
3. Presence of large amorphous densities in swollen mitochondria
4. Clumping of nuclear chromatin

Correct answer: 3. Presence of large amorphous densities in swollen mitochondria

Explanation: Presence of large amorphous densities in swollen mitochondria is seen in irreversible cell injury.
MORPHOLOGIC FEATURES:
Grossly, the affected organ such as kidney, pancreas, or heart muscle is enlarged due to swelling. The cut surface bulges outwards and is slightly opaque. Microscopically, it is characterized by the following features: 
i) The cells are swollen and the microvasculature is compressed.
ii) Small clear vacuoles are seen in the cells and hence the term vacuolar degeneration. These vacuoles represent distended cisternae of the endoplasmic reticulum.
iii) Small cytoplasmic blebs may be seen.
iv) The nucleus may appear pale. 
Harshmohan - Essential Pathology for Dental Students Ed 4th P: 35